Selenocysteine is associated with ?
1. Carbonic anhydrase
2. Catalase
3. Deiodinase
4. Transferase

Correct answer: 3. Deiodinase

Explanation: Selenocysteine is considered as 21 standard amino acid.It is present at the active site of some enzymes that catalyze redox reactions, e.g. thioredoxin reductase, glutathione peroxidase, and the deiodinase (converts thyroxin to triiothyronine).